'Snow banking' is typically seen in:
1. Pars planitis
2. Endophthalmitis
3. Coat's disease
4. Eales' disease

Correct answer: 1. Pars planitis

Explanation: Ans. Pars planitis